The drug that is NOT useful in congestive heart failure is:
1. Adrenaline
2. Digoxin
3. Hydrochlorothiazide
4. Enalapril

Correct answer: 1. Adrenaline